All of the following are associated with recurrent dislocation of shoulder joint except
1. Bankart's lesion
2. Hill sachs lesion
3. Lax capsule
4. Supraspinatus tear

Correct answer: 4. Supraspinatus tear